Primary dentition is complete by:
1. 1.5 years
2. 2.5 years
3. 3.5 years
4. 4.5 years

Correct answer: 2. 2.5 years

Explanation: Ans. 2.5 years